If a patient gets an attack of vertigo/dizziness by loud noise, be is having -
1. Tullio phenomenon
2. Dysplacusis
3. Hyperacusis
4. Paracusis

Correct answer: 1. Tullio phenomenon

Explanation: Ans. is 'a' i.e., TuIIio phenomenon o Hyperacusis refers to sensation of discomfort or pain on exposure to normal sounds. It is seen in injury to nerve to stapedius and in case of congenital syphilis (Hennebert sign),o Displacusis is a condition where same tone is heard as notes of different pitch in either ear.o Paracusis vvilllsii is a condition where patient hears a sound better in presence of background noise. It is seen in otosclerosis.o Tullio phenomenon is a condition -where the subject gets attack of vertigo/dizziness by loud sounds.lt is seen in labyrinthine fistula and after fenestration surgery.